The most common pathogens responsible for nosocomial pneumonia in the ICU are
1. Gram positive organisms
2. Gram negative organisms
3. Mycoplasma
4. Viral infection

Correct answer: 2. Gram negative organisms

Explanation: Mainly responsible organisms are acinetobacters which are Gram-negative aerobic bacteria. Ref: Ananthanarayan& Paniker's textbook of microbiology, 9th edition. Pg no.397